High urinary chloride is seen in all except ?
1. Barter syndrome
2. Gitelman syndrome
3. Vomiting
4. Thiazide

Correct answer: 3. Vomiting

Explanation: Answer- c. VomitingIn vomiting since the patient is developing dehydration the resultant R.A.A.S stimulation leads to increase of aldosterone and metabolic alkalosis ensues.